An infertile woman underwent hysterosalphingogram. It showed bilateral beaded tubes with enlargement at ampulla, The organism responsible is :
1. Chlamydia
2. Gonococci
3. Tuberculosis
4. None

Correct answer: 3. Tuberculosis

Explanation: Tuberculosis